Amniotic fluid at 38 weeks in normal pregnancy is :
1. 800 cc
2. 1100 cc
3. 1500 cc
4. 1800 cc

Correct answer: 1. 800 cc

Explanation: 800 cc